A woman has a fracture of the left tenth and eleventh ribs. The organ most likely to get injured by these fractured ribs is
1. Descending colon
2. Jejunum
3. Le adrenal gland
4. Spleen

Correct answer: 4. Spleen

Explanation: It is the most commonly injured organ in the abdomen.